Japanese B encephalitis virus is transmitted by the following vector
1. Culex tritaeniorhynchus
2. Hard tick
3. Culex fatigans
4. Soft tick

Correct answer: 1. Culex tritaeniorhynchus

Explanation: (A) Culex tritaeniorhynchus # Japanese encephalitis:> The virus was first isolated in Japan during an epidemic in 1935. Several large epidemics have occurred since then. Epidemics show a seasonal incidence (summer-autumn) in the temperate regions, though this is not evident in the tropical areas.> Culex tritaeniorhynchus, a rural mosquito that breeds n rice fields, is the principal vector.> In India, Japanese encephalitis was first recognised in 1955 when the virus was isolated from mosquitoes of the Culex vishnui complex from Vellore during an outbreak of encephalitis in Tamiinadu.